Dysmetria -
1. Cerebellum
2. Cerebrum
3. Basal ganglia
4. Thalamus

Correct answer: 1. Cerebellum

Explanation: Ans. is 'a' i.e.. Cerebellum o Features of Cerebelllar dysfunction include:DysmetriaAtaxiaPast PointingDysdiadochokinesiaDysarthriaIntention TremorCerebellar NystagmusHypotonia